Which of the following is not a myeloproliferative disease?
1. Polycythemia rubra vera
2. Acute myeloid leukemia
3. Chronic myeloid leukemia
4. Essential thrombocytosis

Correct answer: 2. Acute myeloid leukemia

Explanation: Chronic myeloproliferative disorders Myeloid - CML Erythroid - Polycythemia vera Megakaryocytic - Essential thrombocytosis Fibroblast - Idiopathic myelofibrosis (Refer: Robbins & Cotran's - Pathologic Basis of Disease, SAE, 1st edition, Vol I-pg no: 616)